Which vitamin is transported in chylomicrons as an ester?
1. Vitamin E
2. Vitamin D
3. Vitamin A
4. Vitamin K

Correct answer: 3. Vitamin A

Explanation: Ans. C. Vitamin AVitamin A is transported in chylomicrons as ester. Vitamins D, E, and K are transported in the free form associated with chylomicrons. Vitamin B12 , a water-soluble vitamin, is transported in the blood bound to transcobalamin.